All can cause diarrhoea except -
1. Rota virus
2. Calci virus
3. Reo virus
4. Adenovirus

Correct answer: 3. Reo virus

Explanation: Ans. is 'c' i.e., Reo virus